Gold standard for uagnosis of pulmonary embolism :
1. Chest X-ray
2. Pulmonary angiography
3. Ventilation perfusion scintiscan
4. CT

Correct answer: 2. Pulmonary angiography